Viscera forms wall of which herina.
1. Lumbar hernia
2. Sliding hernia
3. Epigastric hernia
4. Femoral hernia

Correct answer: 2. Sliding hernia